In a patient with mild hemophilia levels of clotting factor (antihemophilic factor) would be above
1. 5%
2. 10%
3. 30%
4. Any of the above

Correct answer: 1. 5%

Explanation: Ans. a (5%) (Ref. Nelson paediatrics 18th ed., p. 2068)HEMOPHILIA# Life-threatening hemorrhages require replacement therapy to achieve normal plasma level (100 IU/dL, or 100%).# Patients with mild hemophilia who have factor VIII or factor IX levels of >5 IU/dL usually do not have spontaneous hemorrhages. These individuals may experience prolonged bleeding after dental work, surgery, or injuries.# The hemostatic level for factor VIII is >30-40 pL, and for factor IX, it is >25-30%.# The lower limit of levels for factors VIII and IX in normal individuals is approximately-50%.# Even in patients with severe hemophilia, only 90% have evidence of | bleeding by 1 yr of age. Although bleeding may occur in any area of the body, the hallmark of hemophilia is hemarthrosis. PTPTTMechanism and commentsHemophilia A or B Increased# X-linked recessive inheritance, Intrinsic pathway coagulation defect.# A: deficiency of factor VIII -|PTT. And B; deficiency of factor IX -|PTT.# Macrohemorrhage in hemophilia --hemarthroses (bleeding into joints), easy bruising,| PTT.# Treatment: recombinant factor VIII (in hemophilia A).Vitamin K deficiencyIncreasedIncreasedGeneral coagulation defect. Bleeding time normal, synthesis of factors II, VII, IX, X, protein C, protein S